False positive tuberculin test indicates:
1. Atypical mycobacteria infection
2. Miliary tuberculosis
3. Immunosuppression
4. Extrapulmonary tuberculosis

Correct answer: 1. Atypical mycobacteria infection

Explanation: A false-positive result may be caused by non tuberculous mycobacteria or previous administration of BCG vaccine.